Food poisoning is an example of:
1. Point source epidemic
2. Propagated source epidemic
3. Common source epidemic
4. Pandemic

Correct answer: 1. Point source epidemic

Explanation: 1. Point source epidemic ( single exposure ) Sudden rise sudden fall. Cluster of cases in single IP. All cases develop within one incubation period of the disease E.g. Food poisoning , Bhopal gas tragedy. 2. Common source , continuous or repeated exposure epidemics Sharp rise Fall is interrupted by secondary peaks Eg. Contaminated well in a village,Water Borne Cholera. 3. Propagated source epidemic Gradual rise & gradual fall over long time. Person to person transmission E.g:- HEP. A, POLIO.